Vaccine is what level of prevention:
1. Primordial
2. Primary
3. Secondary
4. Tertiary

Correct answer: 2. Primary

Explanation: Ans. (b) PrimaryRef: K. Park 23rd ed. / 41, 370-74* All vaccines/immunization are primary level of prevention.* Refer to above table.